AML with worst prognosis -
1. 8/12 translocation
2. Inversion 16
3. Normal cytogenetics
4. Monosomy 7

Correct answer: 4. Monosomy 7